Which of the following is the function of proteins with zinc finger motif?
1. DNA binding
2. Histone binding
3. Phosphotyrosine binding
4. Phosphoinositide binding

Correct answer: 1. DNA binding

Explanation: Domain Binds to Zinc-finger motif DNA Bromodomain Acetyl lysine residues of histones SH2 domain Phosphotyrosine residues Pleckstrin homology domain Phosphoinositide residues